The following methods can be used to detect the point mutation in the beta globin gene that causes sickle cell anemia, EXCEPT:
1. Polymerase chain reaction with allele-specific oligonucleotide hybridization
2. Southern blot analysis
3. DNA sequencing
4. Northern blot analysis

Correct answer: 4. Northern blot analysis

Explanation: Point mutation involves the replacement of a single base nucleotide with another nucleotide of the gene. Point mutations in the beta globin gene can be identified by analysing the DNA. Northern blot is a technique used in studying the RNA and hence the answer of exclusion. Ref: Introduction to Biotechnology By Thieman William, 2nd Edition, Pages 71, 78, 81, 82